The following are causes of secretory diarrhoea except-a) Vibrio choleraeb) Inflammatory bowel diseasec) Lactose intoleranced) Gastrinoma
1. a
2. c
3. ac
4. bc

Correct answer: 4. bc